Touton giant cells are found in:
1. Xanthomas
2. Dermatofibromas
3. Actinic keratosis
4. Benign nevocellular nevus

Correct answer: 1. Xanthomas

Explanation: Xanthoma